The lesion listed below that would most likely pursue a benign course is :-
1. Vaginal adenosis
2. Adenomyosis
3. Extramammary Paget's disease
4. Endometrial hyperplasia

Correct answer: 2. Adenomyosis

Explanation: Adenomyosis is a benign condition characterised by the presence of benign endometrial glands and stroma within the myometrium, Common cause of diffuse uterine enlargement and menstrual irregularities. Vaginal adenosis is a DES-related precursor lesion for clear cell adenocarcinoma. Extrammary paget's disease is an intraepithelial adenocarcinoma. Endometrial hyperplasia is a precursor lesion of endometrial carcinoma.